Integrins is associated with all exept?
1. Rolling
2. Adhesion
3. Arrest
4. Transmigration of cells

Correct answer: 1. Rolling

Explanation: Rolling is a function of selectins.
Integrins are associated with option b,c,d.